Which of the following statements about coagulation factor VII is not true?
1. Deficiency is associated with prolonged APTT
2. Deficiency can be managed by Fresh Frozen plasma
3. Deficiency is inherited as an Autosomal Recessive trait
4. Has a shorter half life in comparison to Hageman factor (XII)

Correct answer: 1. Deficiency is associated with prolonged APTT

Explanation: Factor VII is a 56kd single chain, vitamin K dependent zymogen component of the extrinsic pathway of blood coagulation. So, its deficiency is associated with prolongation of PT not APTT. APTT is prolonged in case of deficiency of coagulation factors involved in intrinsic pathway. Ref: Autoantibodies By James B. Pete, Pages 179-80